Nuk Sauger Nipple has been designed to prevent the problem of:
1. Thumb sucking
2. Mouth breathing
3. Maxillary proclination
4. Bruxism

Correct answer: 1. Thumb sucking

Explanation: Children who have the habit of thumb sucking derive the pleasure from keeping their ﬁnger/thumb at various depths of mouth. 
Initially, they start this at conscious level and soon it goes to the subconscious level. 
If it is not intervened, it will alter the muscle balance and might cause malocclusion. 
Along with this, it also alters the way the child sucks the nipple.